Moth eaten alopecia is seen with -
1. Leprosy
2. Syphilis
3. Fungal infection
4. Cylindroma

Correct answer: 2. Syphilis

Explanation: Ans. is 'b' i.e., Syphilis